Chromoblastomycosis is caused by
1. Fonsecaea pedrosoi
2. Alternaria
3. Exophiala jeanselmei
4. All of the above

Correct answer: 1. Fonsecaea pedrosoi

Explanation: Chromoblastomycosis is caused by Fonsecaea pedrosoi, Phialophora verrucosa, Cladosporium carrionii, Rhinocladiella Quaspersa.